Carcinoma right colon is most commonly of which type -
1. Stenosing
2. Ulcerative
3. Tubular
4. Fungating

Correct answer: 4. Fungating

Explanation: Carcinoma in the right side of the colon present as fungating or cauliflower type growth.
Carcinoma of the left side of the colon are mostly stenosing variety